Pseudotumor cerebri is caused by -
1. Acetazolamide
2. Vitamin A overdose
3. Methotrexate overdose
4. Excessive iron therapy

Correct answer: 2. Vitamin A overdose

Explanation: Ans. is 'b' i.e.. Vitamin A overdose Pseudotumor cerebri is a benign self-limiting disorder with a favorable outcomeIt is characterized by elevated intracranial pressure (intracranial hypertension ) witho Normal or small sized ventricular system o No focal neurological signso Papilledema (enlarged blind spot in visual fluid).Isotope brain scan, CT and MRI are normalo Normal CSF findingso EEG shows excessive slow-wave activity Causes includeo High doses of vitamin Ao Outdated Tetracyclineo Quinoloneso Withdrawal of corticosteriod therapyo Addison's diseaseo SLEo Hypoparathyroidism